All of the following are causes of acute pancreatitis except -
1. Mumps
2. Gall stones
3. Trauma
4. Hypocalcemia

Correct answer: 4. Hypocalcemia

Explanation: Ans. is 'd'. Reference- Harrison's Principles of Internal Medicine (19th Ed)